Long-term use of which diuretic agent can result in gynaecomastia?
1. Amiloride
2. Spironolactone
3. Triamterene
4. Acetazolamide

Correct answer: 2. Spironolactone

Explanation: Side effects of spironolactone: - Drowsiness, Ataxia, Mental confusion, Epigastric distress It may enhance testosterone clearance or its peripheral conversion to estradiol- gynecomastia, erectile dysfunction or loss of libido in men, and breast tenderness or menstrual irregularities in women. Most serious is hyperkalemia that may occur, especially if renal function is inadequate.